Gartner's duct is present in
1. Broad ligament
2. Ovarian ligament
3. Perineal membrane
4. Separates medial part of epididymis from testis

Correct answer: 1. Broad ligament

Explanation: Broad ligament